Which side effect is associated with halothane?
1. Hypertension
2. Malignant hyperthermia
3. Tachycardia
4. Uterine contraction

Correct answer: 2. Malignant hyperthermia

Explanation: Ans is 'b' i.e. Malignant hyperthermia Side effects associated with halothane* Halothane causes maximum direct depression of myocardial contractility by reducing intracellular calcium - Contraindicated in severe cardiac disease.* It causes fall in BP & CO (due to myocardial depression) - Contraindicated in hypovolemia.* It decreases heart rate (bradycardia) due to vagal stimulation as a result of inhibition of baro-receptor reflex. Halothane has the maximum propensity to sensitize the heart to arrhythmogenic action of adrenaline - Epinephrine should be avoided in doses above 1.5 mg/kg.* Halothane causes direct hepatotoxicity (hepatitis, hepatic necrosis) - Contraindicated in patients with acute hepatic disease & Jaundice.* Halothane causes post anaesthetic shivering, and chills (Halothane shakes) - Maximum propensity amongst inhalational agents.* It can cause malignant hyperthermia.* Halothane causes uterine relaxation, Therefore Post partum hemorrhage (PPH) can occur if used in labor.